The most common ocular motility problem in thyroid myopathy is due to involvement of -
1. Medial rectus
2. Superior rectus
3. lnferior rectus
4. Inferior oblique

Correct answer: 3. lnferior rectus

Explanation: Unilateral elavator palsy caused by an involvement of inferior rectus muscle. Ref . Ak khurana 6th edition pg no 414